Sarcoidosis
1. Is associated with HLA B1
2. Is commoner in elderly people
3. Causes caseating granuloma
4. Produces bilateral hilar lymphadenopathies in the absence of pulmonary symptoms

Correct answer: 4. Produces bilateral hilar lymphadenopathies in the absence of pulmonary symptoms

Explanation: Sarcoidosis is a multisystem granulomatous disorder of unknown aetiology that is characterised by the presence of non-caseating granulomas . The condition is more frequentlydescribed in colder parts of northern Europe .The tendency for sarcoid to present in the spring and summer has led to speculation about the role of infective agents, including mycobacteria, propionibacteria and viruses, but the cause remains elusive. Genetic susceptibility is supported by familial clustering; a range of class II HLA alleles confer protection from, or susceptibility to, the condition. Sarcoidosis occurs less frequently in smokers. It may be associated with common variable immunodeficiency .Bilateral hilar lymphadenopathy (BHL) is often seen in young women .Alternatively, BHL may be detected in an otherwise asymptomatic individual undergoing a chest X-ray for other purposes. Ref - Davidsons 23e p630